All can commonly occur in a patient who suffered decelerating injury in which pituitary stalk was damaged except one:
1. Diabetes mellitus
2. Thyroid insufficiency
3. Adrenocortical insufficiency
4. Diabetes insipidus

Correct answer: 1. Diabetes mellitus

Explanation: Ans. (a) Diabetes mellitus* Pituitary stalk damage can result in - Diabetes Insipidus, Thyroid insufficiency and Adrenocortical insufficiency (ADH, TSH and CRH deficiency)